Zellweger syndrome is due to
1. Absence of peroxisome
2. Absence of cytochrome
3. Absence of COX
4. Absence of LOX

Correct answer: 1. Absence of peroxisome

Explanation: Zellweger syndrome is due to absence of peroxisomes in all most all tissues, as a result of which long chain fatty acids are not oxidized and accumulated in live and brain. So this syndrome is also called as cerebrohepatorenal syndrome.